Drug of choice for bleeding oesophageal varices is -
1. Ethanolamine oleate
2. Octreotide
3. Propanolol
4. Phytonadione

Correct answer: 2. Octreotide

Explanation: Ans. is 'b' i.e., Octreotide